In facial nerve injury, loss of lacrimation is due to involvement of
1. Chorda tympani nerve
2. Buccal nerve
3. Greater superficial petrosal nerve
4. Deep petrosal nerve

Correct answer: 3. Greater superficial petrosal nerve

Explanation: Secretomotor fibres to lacrimal gland leave at geniculate ganglion greater superficial petrosal nerve Ref: Dhingra 6th edition Pg. 97